Which drug should be avoided in pregnancy ?
1. Phenytoin
2. Insulin
3. Heparin
4. All

Correct answer: 1. Phenytoin